Rituximab is used in :
1. Hodgkin's disease
2. Acute myeloid leukemia
3. Non–Hodgkin lymphoma
4. Multiple myeloma

Correct answer: 3. Non–Hodgkin lymphoma